The advantage of titanium over other base metal alloys is
1. Low weight
2. Low cost
3. Low strength
4. Low melting point

Correct answer: 1. Low weight

Explanation: Titanium

Titanium is a light-weight metal with low density and the only metal that may be used in an almost pure form.
It has a very high melting point (1668°C) in comparison with the alloys used in dentistry.
It has relatively low elastic modulus and a very low coefficient of thermal expansion.
It is highly corrosion resistant at mouth temperature and is regarded as biocompatible.
It is frequently used for the construction of implants.
The most frequently used titanium alloy in the medical and dental field consists of 90% Titanium , 6% Aluminum , and  4% Vanadium.